All are components of cryoprecipitate except:
1. Von willebrand factor
2. Factor V
3. Factor I
4. Factor VIII

Correct answer: 2. Factor V

Explanation: Cryoprecipitate contains:

Factor VIII (about 90 units)
Von willebrand factor
Fibrinogen
Factor XIII
Fibronectin